Warfarin embryopathy manifests characteristically as -
1. Chondrodysplasia punctata
2. Dysplastic hips
3. Auditory sensineuronal hearing loss
4. Gastrointestinal atresias

Correct answer: 1. Chondrodysplasia punctata

Explanation: Ans. is 'a' i.e., Chondrodysplasia punctata * Warfarin embryopathy is characterized by bone and cartilage abnormalities known as chondrodysplasia punctata. Affected infants may have nasal hypoplasia and excessive calcifications in the epiphyses and vertebrae.